Which of the following duct commences in the abdomen as an elongated lymph sac of the cistema chyli is
1. Thoracic duct
2. Gartner's duct
3. Bile duct
4. Hepatic duct

Correct answer: 1. Thoracic duct

Explanation: (Thoracic duct) (270 - BDC - 1) (132 - Snell 7th)THORACIC DUCT:- Begins as continuation of the upper end of the cisterna chyli near the lower border of the twelfth thoracic vertebrae and enters the thorax through the aortic opening of the diaphragm, on the right side of the descending aorta* At the roof of the neck, the thoracic duct receives the left jugular, subclavian and bronchomediastinal lymph trunks, although they may drain directly into the adjacent large veins.